Emergency retentive force for the maxillary complete denture is:
1. Posterior palatal seal.
2. Base of the tongue.
3. Soft palate.
4. Deep palate.

Correct answer: 2. Base of the tongue.

Explanation: Base of the tongue provides emergency retentive force.